"Cock-up" splint is used in treatment of
1. Ulnar nerve palsy
2. Radial nerve palsy
3. Median nerve palsy
4. Sciatic nerve palsy

Correct answer: 2. Radial nerve palsy

Explanation: Ans. b (Radial nerve palsy) (Ref. Maheshwari orthopedics 3rd ed., p 59; Table 10.6.)RADIAL NERVE PALSY# This is a common injury after a humerus and if there is no prospect of return of function, then transfers of flexor tendons to the extensor side will stabilise the wrist and allow extension of the fingers.# The classic transfer is the Robert Jones.# Pronator teres is inserted into extensor radialis iongus to restore wrist extension.# Flexor carpi ulnaris is inserted into extensor digitorum to restore finger extension.# Palmaris iongus when present is inserted into extensor potlicis Iongus to restore thumb extension.# Splintage: cock-up splintSome important splints used in orthopedic practiseSplints and castsClinical useCock-up splintShoulder abduction splintKnuckle-bender splintFoot-drop splintRadial nerve palsy (Extensors of the wrist and MP joints paralysed)Axillary nerve (Deltoid paralysis)Ulnar nerve palsy (Lumbricals paralysis)Sciatic nerve or common peroneal nerve palsy Cylinder/tubular castFracture patellaHanging castFracture humerusPatellar tendon bearing castFracture tibiaMinerva castCervical spine fractureTrunk Buckle castScoliosisRisser's castScoliosisAluminium splintImmobilization of fingerThomas splintFracture femurBohler Braun splintFracture femurToe rising splintFoot dropKnuckle bender splintUlnar nerve palsyDennis Brown splintCTEVSome important splits and casts used in orthopedic practiseDunlop tractionFracture elbowGallow's tractionFracture femur - shaft (below 2 years)Bryant's tractionFracture femur - shaft (below 2 years)Russell's tractionTrochanteric fracturePerkin's tractionFracture shaft femur in adults